Two nuclei at the tail tip is seen in:
1. Brugian malayi
2. Wucheria bancrofti
3. Onchocerca volvulus
4. Mansonella ozzardi

Correct answer: 1. Brugian malayi

Explanation: Ans. A: Brugian malayi B. Malayi microfilariae resemble W. bancrofti and Loa loa microfilariae with minor differences that can aid in laboratory diagnosis. B. Malayi microfilariae can be distinguished by the noncontinuous row of nuclei found in the tip of the tail. There are two terminal nuclei that are distinctly separated from the other nuclei in the tail, whereas the tail of W. bancrofti, Onchocerca volvulus and Mansonella ozzardi contains no nuclei and Loa loa microfilariae nuclei form a continuous row in the tail. B. Malayi microfilariae also have a characteristic cephalic space ratio of 2:1